Which of the following genetic mutations involved in breast carcinoma
1. APC
2. BRCA
3. HbAc
4. RB gene

Correct answer: 2. BRCA

Explanation: B. i.e. (BRCA) (786 - Harsh Mohan 5th) / (744- Basic-pathology 8th)* Genetic mutations involvement in breast carcinoma - BRCA - 1 BRCA - 2 gene, TP53 tumour suppressor gene, PTEN (phosphate and tensin) tumour suppressor gene* APC gene - Familial adenomatous polyposis*** In 85% of follicular B. cell lymphomas the anti apoptotic gene BCL2 is activated by the t (8; 14) translocations*** RB gene** associated with retinoblastoma* **HMB - 45, S- 100 is a an immunological marker for Melanoma* CDX-2 is an immunological marker for Gastro intestinal cancer* BRCA- 1 gene is located on - chromosome 17 cancer*** Desmin is a immuno logical marker for Rhabdomyosarcoma*** LMP-1 gene plays a role in oncogenesis induced by Epstein- Barr virus*** P53 known as "guardian of the genome"